Cerelas are deficient in?
1. Alanine
2. Lysine
3. Methionine
4. Cysteine

Correct answer: 2. Lysine

Explanation: Cereal proteins are poor in nutritive value being deficient in the essential amino acid,lysine.REF.PARK'S TEXTBOOK OF PREVENTIVE AND SOCIAL MEDICINE.Editon-21.Page no.-578